Abbe-Estlander flap is used in the reconstruction of?
1. Buccal mucosa
2. Lip
3. Tongue
4. Palate

Correct answer: 2. Lip

Explanation: Abbey-Estlander flap is used in the reconstruction of lip It is a full-thickness lip-switch flap rotated from mid-lower lip to fill defects of the upper lip Based on sublabial or superior labial artery Used in cleft lip, or defects of lip post trauma, cancer surgeries Sabiston 20th edition Pg: 142